The type of wells in which water rises above the level of ground water is
1. Shallow wells
2. Deep wells
3. Aesian wells
4. Dug wells

Correct answer: 3. Aesian wells

Explanation: Aesian wells are a kind of deep wells in which the water rises above the level of groundwater because it is held under pressure between two impervious strata. These are not common in IndiaWells may be classified according to the method of construction into dug wells and tube wells. Dug wells are the commonest type in India. two types exist; 1. The unlined katcha well and 2. the masonry or pucca wellThe katcha well is a hole dug into the water-bearing stratum. The pucca well is an open well built of bricks or stonesStep wells are a type of pucca wells where steps are constructed into the wells to enable people to descend into the well to fetch water. These are becoming obsoleteRef: Park; 23rd ed; Pg 709